Antifungal drug not used in the treatment of intestinal candidiasis:
1. Amphotericin
2. Nystatin
3. Ketoconazole
4. Clotrimazole

Correct answer: 4. Clotrimazole

Explanation: Clotrimazole is effective in the topical treatment of tinea infections, skin infections and oral thrush. For oropharyngeal candidiasis 10 mg troche of clotrimazole is allowed to dissolve in the mouth 3–4 times a day, or the lotion/gel is applied/swirled in the mouth for as long as possible. Clotrimazole is primarily used as a topical agent and has not been documented in the use for intestinal candidiasis.